Bilateral Babinski sign is characteristic of:
1. Pontine hemorrhage
2. Basal ganglia and thalamic hemorrhage
3. Cerebellar hemorrhage
4. Subarachnoid hemorrhage

Correct answer: 1. Pontine hemorrhage

Explanation: Ans. a. Pontine hemorrhage (Ref: Harrison 19/e p2583, 209, 18/e p3286-3287)Features of Pontine StrokeSudden onsetDeep coma with quadriplegia (usually occurs over few minutes)Pinpoint pupil (1 mm pupils) that react to lightLoss of reflex eye movements and corneal responsesDecerebrate rigidity/PosturingHyperpnea/HyperventilationSevere hypertensionOcular bobbingExcessive sweating/HyperhidrosisHyperpyrexiaPontine StrokesVentral pontine syndrome (Millard Gubler syndrome)Lower dorsal pontine syndrome (Foville's syndrome)Upper dorsal pontine syndrome (Raymond ceston syndrome)* Caused by paramedian infarction of pons* Caused by lesion is dorsal tegmentum of lower pons* Caused by obstruction of long circumferential branches of basilar artery